Other than lignocaine without vasoconstriction, which LA is indicated in Hyperthyroid patient
1. 3% Mepivacaine
2. 3% Bupivacaine
3. 3% Ropivacaine
4. 3% procaine

Correct answer: 1. 3% Mepivacaine